Human immunodeficiency virus (HIV) affects the immune response. The primary change brought about is:
1. A gammaglobulinemia
2. Defect in cell-mediated immunity
3. Defect in complement system
4. Defect in natural killer cells

Correct answer: 2. Defect in cell-mediated immunity

Explanation: HIV infects CD4 (helper) T-lymphocytes, macrophages and monocytes and leads to cell-mediated immune deficiency which predisposes to opportunistic infections and malignancies.